Neck of fibula fracture leads to which nerve injury?
1. Common peroneal nerve
2. Obturator nerve
3. Genitofemoral nerve
4. Posterior tibial nerve

Correct answer: 1. Common peroneal nerve

Explanation: Ans. (a) Common peroneal nerve* Common peroneal nerve originates from the dorsal branches of the fourth and fifth lumbar and the first and second sacral nerves. It descends obliquely along the lateral side of the popliteal fossa to the head of the fibula, close to the medial margin of the biceps femoris muscle. Where the common peroneal nerve winds round the head of the fibula, it is palpable and vulnerable to injury.Remember* Tarsal tunnel syndrome- Posterior tibial nerve* MeralgiaParasthetica- Lateral cutaneous nerve of thigh* Claw hand-ulnar nerve* Mononeuritis multiplex is most commonly caused by Polyarteritis Nodosa.(If asked for India Ans. as leprosy).